Galactorrhea my be associated with the use of all the following drugs except -
1. Methyldopa
2. Tricyclic antidepressants
3. Pyridoxine
4. Phenothiazine

Correct answer: 3. Pyridoxine